EBV causes all EXCEPT:
1. Nasopharyngeal carcinoma
2. Burkitt s lymphoma
3. Verrucous lymphoma
4. Hodgkin's lymphoma

Correct answer: 3. Verrucous lymphoma

Explanation: ANSWER: (C) Verrucous lymphomaREF: Jawett's 24th edition Section IV. Virology > Chapter 33. Herpesviruses Cancer by EBV:EBV is recognized as a cause of Burkitt's lymphoma, nasopharyngeal carcinoma, Hodgkins disease, and some other lymphomas. Sera from patients with Burkitt's lymphoma or nasopharyngeal carcinoma contain elevated levels of antibody to virus-specific antigens, and the tumor tissues contain EBV DNA and express a limited number of viral genes. EBV-associated B cell lymphomas are a complication for immunodeficient patients